Treatment of chronic dacrocystitis:
1. Dacrocystorhinostomy
2. Antibiotics
3. Probing/Syringing
4. All

Correct answer: 4. All

Explanation: A i.e. Dacrocystorhinostomy; B i.e. Antibiotics; C.ie Probing Congenital dacryocystitis is almost always chronic Q, while acquired may be acute or chronic (chronic being more common). It is treated by massage over lacrimal sac, lacrimal syringing with antibiotics, probing of nasolacriinal duct, antibiotic drops and surgery (dacryocustorhinostomy, dacryocystectomy, conjunctivocystorhinostomy) Q